Which of the following is the 'Impact indicator' for evaluation of ASHA's performance?
1. Number of meetings attended
2. Number of institutional deliveries
3. Reduction in infant mortality
4. Hours of training

Correct answer: 3. Reduction in infant mortality

Explanation: ASHA 25 - 45 yrs. Resident of same village Minimum 10th pass Requirement - 2/1000 Based on village level Trained by AWW + ANM for 23 days at PHC Impact indicator - 1. Reduction in IMR 2. Leprosy cases 3. PEM rates 4. TB cases